All of the following is safe in malignant hyperthermia except-
1. N2O
2. Xenon
3. Halothane
4. Propofol

Correct answer: 3. Halothane

Explanation: Malignant hyperthermia is a genetic(autosomal dominant) hypermetabolic muscle disease. Triggering agents include Inhaled general anesthetics Ether Halothane Methoxyflurane Enflurane Isoflurane Desflurane Sevoflurane Depolarizing muscle relaxants Succinylcholine local Anaesthetics lignocaine